Treatment for squamous cell carcinoma stage T3N0M0 is?
1. Maxillectomy
2. Radiotherapy
3. Maxillectomy and Radiotherapy
4. Maxillectomy and Chemotherapy

Correct answer: 3. Maxillectomy and Radiotherapy

Explanation: ANSWER: (C) Maxillectomy and Radiotherapy REF: Dhingra 3rd edition page 255Treatment for squamous cell carcinoma of maxilla:Combination of surgery and radiotherapy gives better results than either aloneRadiotherapy can be given before or after surgeryTreatment is same for every stage of maxillary carcinomaNote: For adenocarcinoma radiotherapy is ineffective, only surgery is done